Following are the side effects of apraclonidine except ?
1. Lid dermatitis
2. Follicular conjunctivitis
3. Eye lid retraction
4. Watering of mouth

Correct answer: 4. Watering of mouth

Explanation: Ans. is 'd' i.e., Watering of mouth Apraclonidine Topical application lowers the intra ocular pressure by 25 %. It decreases aqueous production by primary alphal and subsidiary alpha 2 action in ciliary body. Itching, lid dermatitis, follicular conjunctivitis, mydriasis, eyelid retraction, dryness of mouth and nose are common side effects. Its use is restricted to short term control of spikes of intraocular tension after laser trabeculolasty or iridotomy.